'Savlon' contains:
1. Chlorhexidine and chlorxylenol
2. Cetavlon and chlorxylenol
3. Cetavlon and hibitane
4. Hibitane and chlorxylenol

Correct answer: 3. Cetavlon and hibitane

Explanation: Savlon: Chlorhexidine (Hibitane) 0.3% and Cetrimide (Cetavlon) 3% Chlorhexidine is effective against a wide range of Gram-negative and Gram-positive vegetative bacteria, yeasts, dermatophyte fungi and lipophilic viruses It is inactive against bacterial spores, except at elevated temperatures